Which is the anesthetic agent of choice in a case of status asthmaticus?
1. Ketamine
2. Thiopentone
3. Ether
4. Nitrous Oxide

Correct answer: 1. Ketamine

Explanation: Ketamine along with adjunctive therapy is the standard therapy in the treatment of children with status asthmaticus and impending respiratory failure. Ketamine cause bronchodilation through the inhibition of vagal tone, release of endogenous catecholamines and by direct muscle relaxation.